True about fourth heart sound is
1. Occurs at end of P wave in ECG
2. Occurs at end of T wave in ECG
3. Occurs during early rapid filling phase of ventricular diastole
4. Occurs during slow ejection phase of Ventricular systole

Correct answer: 1. Occurs at end of P wave in ECG